Rhytidectomy is
1. Removal of skin wrinkles
2. A1 - of nasal septum position
3. Salivary gland excision
4. Cehek augmentation

Correct answer: 1. Removal of skin wrinkles